Confirmatory test for syphilis -
1. VDRL
2. FTA-ABS
3. RPQ
4. None

Correct answer: 2. FTA-ABS